Which of the following statements regarding live vaccines is false
1. Two live vaccines cannot be administered simultaneously
2. Booster doses are not required when live vaccines are administered
3. Single dose gives lfe long immunity
4. Live vaccine contains both major and minor antigens

Correct answer: 1. Two live vaccines cannot be administered simultaneously

Explanation: When 2 live vaccines are required they should be given either simultaneously at different sites or with an interval of at least 3 weeks.In case of live vaccines,protection is generally achieved with a single dose of vaccine (refer pgno:103 park 23 rd edition)